Earliest visual field change in open angle glaucoma is
1. Paracentral scotoma
2. Ring scotoma
3. Siedel's scotoma
4. Arcuate scotoma

Correct answer: 1. Paracentral scotoma

Explanation: A i.e. Paracentral scotoma